Michalis Gutmann bodies are seen in
1. Xanthogranulomatous pyelonephritis
2. Malakoplakia
3. Nail patella syndrome
4. Chronic pyelonephritis

Correct answer: 2. Malakoplakia

Explanation: Malakoplakia *Etiology : Inflammation due to chronic bacterial infection, mostly by E.coli and proteus.*Common in immunosuppressed individuals*Pathogenesis : Disturbed phagocytic activity due to overloaded bacteria within macrophages*Sites : Urinary bladder, Colon, Lungs,Bones, Kidneys, prostate and epididymis *Microscopic findings : Sheets of macrophages, giant cells and michaelis-gutmann bodies *Michaelis gutmann bodies - Laminated mineralized concretions resulting from deposition of calcium In enlarged lysosomes of macrophages (Ref: Robbins 8/e p975)